Which of the following is most preferred graft in CABG?
1. Saphenous vein
2. Radial artery
3. Internal mammary artery
4. Internal jugular vein

Correct answer: 3. Internal mammary artery

Explanation: Vascular graft Bioprosthetic Synthetic Autograft Homograft (allograft) Heterograft (xenograft) Tissue engineered Textile Dacron Non textile ePTFE Polyurethane Best natural vascular graft: Reversed saphenous vein Best synthetic vascular graft: Dacron Best vascular graft for supra inguinal bypass: Dacron Best vascular graft for infra inguinal bypass: Saphenous vein Best vascular graft for aorta: Dacron Most preferred graft for CABG: LIMA (left internal mammary artery) > Saphenous vein MC used graft for CABG: Saphenous vein